Advantages of surgery over radiotherapy in CA cervix are all except
1. Low mortality
2. Conservation of ovaries
3. Preservation of cortal function
4. None

Correct answer: 1. Low mortality

Explanation: Ans. is a i.e. Low mortalityRef: Novars 15th/ed, p1326Mortality is same for both surgery and radiation.Comparison of surgery and radiation in cancer cervixParameterSurgeryRadiationSurvival85%85%Mortality1%1% (due to pulmonary embolism)Serous complicationUrological fistula (1-2%)Intestinal and uninary stricture and fistula (1-5%)Vagina/coital functionNormalFibrosed [?] Coital function hamperedOvariesCan be conservedDestroyedChronic complicationBladder atony 3%Radiation fibrosis of bladder and bowel 6-8%